Which of the following hematological criteria remains unchanged during pregnancy
1. Blood Volume
2. TIBC
3. MCHC
4. S. ferritin

Correct answer: 3. MCHC

Explanation: MCV increases minimally during pregnancy MCHC remains unchanged Reference: High risk pregnancy Fernando Arias 4th edition Page no: 234